If a person has visual acuity 6/6. At what distance will he be able to read 6/24 line?
1. 24 m
2. 36 m
3. 48 m
4. 60 m

Correct answer: 1. 24 m

Explanation: Ans. a. 24 mVISUAL ACUITY MEASUREMENTPatient is made to read the letters from top downward usually from a distance of 6 m/20 ftIf patient reads all letters from top to the 6 m lineIf patient reads all letters from top to the 24 m linerVA denotes as 6/6-denominator (6) denote that this line should be clearly read from 6 m and the patient also can read it from 6 m distant (numerator) thus has normal far visionVA denotes as 6/24-denominator (24) denote that this line should be clearly read from 24 m distance, but the patient reads it from 6 m distant (numerator) and thus had dimunition of far vision